All of the following are concerned with auditory pathway except-
1. Trapezoid body
2. Medial geniculate body
3. Genu of internal capsule
4. Lateral leminiscus

Correct answer: 3. Genu of internal capsule

Explanation: Genu of internal capsule is not a part of auditory pathway. The fibres from medial geniculate body, pass through the posterior limb of internal capsule to reach auditory cortex.